Slow waves in EEG activity are seen in:
1. Depression
2. Delirium
3. Schizophrenia
4. Mania

Correct answer: 2. Delirium

Explanation: Delirium: Generalized slowing waves on the EEG are seen. Except in delirium caused by benzodiazepine withdrawal and delirium tremens. For Depression, Schizophrenia and Mania there is no characteristic finding on the EEG.